A patient presents with multiple pulmonary cavities hematuria and red cells casts. The most likely diagnosis is -
1. Anti GBM disease
2. Churg - Strauss allergic granulomatosis
3. Wegner's granulomatosis
4. Systemic lupus erthematous

Correct answer: 3. Wegner's granulomatosis